A 8-year-old male child presented with complaints of pain and swelling in right distal femur for 5 months and also complained of on and off fever and significant weight loss along with loss of appetite. Lab studies revealed presence of anemia, leucocytosis and raised ESR & LDH. There was no history of any kind of trauma. Below is the X ray of the same patient. Which of the following chromosomal abnormality is characteristic of this lesion?
1. t(15:17)
2. t(11:22)
3. t(6:6)
4. t(8:21)

Correct answer: 2. t(11:22)

Explanation: Ewings sarcoma 1st 2 decades of life Mimics osteomyelitis Second most common malignant primary bone tumors of childhood after osteosarcoma Typically arising from medullary cavity with invasion of the haversian system. Present as moth-eaten destructive permeative lucent lesions in the shaft of long bones with large soft tissue component without osteoid matrix and typical onion skin periostitis. May also involve flat bones and appears sclerotic in up to 30% of case The x ray picture shows characteristic onion peel periosteal reaction. t (11:22) (q24:q12) is characteristic of Ewings. On IHC cd99(mic 2) is also a specific marker.